In Budd-Chiari syndrome there is obstruction to :
1. Inferior vena cava
2. Hepatic artery
3. Larger hepatic veins
4. Portal vein

Correct answer: 3. Larger hepatic veins

Explanation: Budd-Chiari syndrome results from obstruction to the hepatic veins. Vaso-occlusive thrombosis occurs in hepatic vein - spreads to C/L hepatic veins - then in IVC Thrombus formation in hepatic veins - Backward pressure - centrilobular necrosis formation